In malignant otitis externa, which nerve is commonly affected?
1. Abducent
2. Facial
3. Auditory
4. Vagus

Correct answer: 2. Facial

Explanation: Most commonly facial nerve is involved. Other cranial nerves can also be involved (glossopharyngeal, vagus, spinal accessory hypoglossal, abducens, trigeminal).Ref: PL Dhingra, Diseases of Ear, Nose & Throat, 7th edition, pg no. 55